All are antithyroid drugs except
1. Propylthiouracil
2. Methimazole
3. Carbimazole
4. Carbamazepine

Correct answer: 4. Carbamazepine

Explanation: Carbamezapine is an anti epileptic drug. It belongs to iminostilbene group of drugs Carbimazole is used to treat hyperthyroidism. Carbimazole is a pro-drugas after absorption it is converted to the active form, methimazole. (REF.Essential of medical pharmacology K D TRIPATHI 6 Edition, Page No - 402)